A child was brought by his mother complaining nocturnal perianal pruritus and presence of adult worms in the stool. Which of the following is the most common intestinal infection in school-age children worldwide?
1. Plasmodium vivax
2. Enterobius vermicularis
3. Entamoeba histolytica
4. Strongyloides stercoralis

Correct answer: 2. Enterobius vermicularis

Explanation: Enterobius vermicularis, the pinworm, is a common cause of intestinal infections worldwide, with maximal prevalence in school-age children. Enterobiasis is transmitted person-to-person ingestion of eggs after contact with the hands or perianal region of an infected individual, food or fomites that have been contaminated by an infected individual, or infected bedding or clothing. Auto-infection also occurs. Ref: Rosenthal P.J. (2013). Chapter 35. Protozoal & Helminthic Infections. In M.A. Papadakis, S.J. McPhee, M.W. Rabow, T.G. Berger (Eds), CURRENT Medical Diagnosis & Treatment 2014.